First class judicial magistrate can give punishment upto
1. 1 year
2. 3 years
3. 7 years
4. 10 years

Correct answer: 2. 3 years

Explanation: Ans. is 'b' i.e., 3 years Powers of Magistrate's (Sec. 29 CrPC)ClassImprisonmentFineChief judicial magistrateUpto 7 yearsAny amount1st class magistrateUpto 3 years5000 Rs.2nd class magistrateUpto 1 years1000 Rs.